Which of the following drugs has a high surface local anesthetic activity and intrinsic vasoconstrictor action that reduces bleeding in mucus membrane?
1. Cocaine
2. Lignocaine
3. Bupivacaine
4. Benzocaine

Correct answer: 1. Cocaine